Which of the following is a type B personality disorder?
1. Anxious PD
2. Narcissistic PD
3. Dependent PD
4. Anankastic PD

Correct answer: 2. Narcissistic PD

Explanation: Type B personality disorders Histrionic PD Narcissistic PD Antisocial / Dis social PD Borderline / Emotionally unstable PD Anxious PD is a type A PD Dependent PD is a type C PD Anankastic PD is a type C PD